Simple vesicovaginal fistula is  having following feature
1. Supratrigonal
2. Short vaginal length
3. Associated pelvic malignancy
4. Due to pelvic radiation

Correct answer: 1. Supratrigonal

Explanation: Simple vesicovaginal fistula is located near the cuff (supratrigonal)